Markedly inappropriate sensitivity, self-importance and suspiciousness are clinical features of
1. Antisocial
2. Histrionic
3. Schizoid
4. Paranoid

Correct answer: 4. Paranoid

Explanation: In Paranoid Personality Disorder, the traits include excessive sensitiveness, tendency to persistently bear grudges, significant suspiciousness, a combative and tenacious sense of personal 'right', recurrent suspicions about the fidelity of partner without justification, tendency to experience excessive self-importance, and preoccupation with unsubstantiated 'conspiratorial' explanations of events. Ref: A Short Textbook of Psychiatry, Niraj Ahuja, 7th Edition, pg. no. 114